Lowest expulsion rate of IUD -
1. Lippers loop
2. LNG
3. Progestasert
4. CuT-220

Correct answer: 3. Progestasert

Explanation: Park's textbook of preventive and social medicine 23rd edition. *expulsion rate of lippes loop-12 to 20% *progestasert-2.7%. *LNG- 6%.